Vitamin K dependent clotting factors are
1. Factor IX and X
2. Factor IV
3. Factor XII
4. Factor I

Correct answer: 1. Factor IX and X

Explanation: Vitamin K-dependent clotting factors II, VII, IX, X, proteins C, and S,